Which or the following is the principal mode of heat exchange in an infant incubator?
1. Radiation
2. Evaporation
3. Convection
4. Conduction

Correct answer: 3. Convection

Explanation: Convection warmed incubators are being routinely used for thermal regulation of the premature neonate's ambient air. Ref: Essential Pediatrics By O P Ghai, 6th Edition, Page 154; Maternal, Neonatal and Women's Health Nursing, By Lynna Y. Littleton, Joan Engebretson, 2002, Volume 1, Page 1145